Cerebrospinal fluid, fluid in the eye, joint are an example of:
1. Transcellular fluid
2. Extracellular fluid
3. Intracellular fluid
4. None of the above

Correct answer: 1. Transcellular fluid

Explanation: There is another small compartment of fluid that is referred to as transcellular fluid. This compartment includes fluid in the synovial, peritoneal, pericardial, and intraocular spaces, as well as the cerebrospinal fluid. It  is usually considered to be a specialized type of extracellular fluid, although in some cases its composition may differ markedly from that of the plasma or interstitial fluid. All the transcellular fluids together constitute about 1 to 2 litres.
Key Concept:
These are known as transcellular ﬂuids as they are separated from the rest of the extracellular ﬂuid.
Reference: GUYTON AND HALL TEXTBOOK OF MEDICAL PHYSIOLOGY, THIRTEENTH EDITION(INTERNATIONAL EDITION ) page no 306